The minimum dose of radiation to produce cerebral symptoms
1. 500 rads
2. 100 rads
3. 1000 rads
4. 5000 rads

Correct answer: 4. 5000 rads

Explanation: (5000 rads) (2588-H 15th)OrganInjuryMinimum tolerance doseMaximum tolerance doseWhole or partial organ(Field size or length)Bone marrowAplasia250450Whole Pancytopenia300004000SegmentalLiverAcute hepatitis25004000*Whole Chronic hepatitis15002000Whole (Strip)StomachPerforation, ulcer, hemorrhage45005500100 cmIntestineUlcer, perforation45005500400 cm Haemorrhage50006500100 cmBrainInfarction necrosis5000*6000WholeSpinal cordInfarction necrosis4500550010 cmHeartPericarditis,4500550060% Pan carditis7000800025%LungAcute and chronic pneumonitis30003500100 cm 15002500WholeKidneyAcute and chronic nephrosclerosis15002000Whole (strip) 20002500WholeFetusDeath200400Whole